Which of the following has the shortest plasma half life -
1. Propranolol
2. Esmolol
3. Timolol
4. Atenolol

Correct answer: 2. Esmolol

Explanation: Ans. is 'b' i.e., Esmolol Shortest acting b-blocker --> Esmolol Longest acting b -blocker --> Nodalol